Not a barrier method
1. Condom
2. Today
3. Centchroman
4. Diaphragm

Correct answer: 3. Centchroman